Initial amino acid in prokaryotic protein synthesis
1. Arginine
2. Methionine
3. Formyl-methionine
4. Alanine

Correct answer: 3. Formyl-methionine

Explanation: Activation of amino acid is the first phase of translation, among which initiation of protein synthesis is the first step. It is divided into 4steps .1st one is recognition steps. In eukaryotes, the first amino acid incorporated is methionine(AUG codon). But in prokaryotes, the same codon stands for N-formyl methionine, which is the first amino acid.Ref: DM Vasudevan - Textbook of Biochemistry, 7th edition, page no: 600